Opiate withdrawal is treated with
1. CPZ
2. Nalorphine
3. Pethidine
4. Methadone

Correct answer: 4. Methadone

Explanation: The withdrawal symptoms can be managed by one of the following methods: 1. Use of substitution drugs such as methadone to ameliorate the withdrawal symptoms. 2. Clonidine is a a2 agonist that acts by inhibiting norepinephrine release at presynaptic a2 receptors. 3. Naltrexone with Clonidine: Naltrexone is an orally available narcotic antagonist which, when given to an opioid-dependent individual, causes withdrawal symptoms. These symptoms are managed with the addition of clonidine for 10-14 days after which clonidine is withdrawn and the patient has continued on naltrexone alone. 4. Other Drugs: The other detoxification agents include LAAM ( Levo-alpha-acetyl-Metha dol), propoxyphene, diphenoxylate, buprenorphine (long-acting synthetic partial m-agonist which can be administered sublingually), and lofexidine (a2 agonist, similar to clonidine). In particular, Buprenorphine has recently been used widely for detoxification as well as for maintenance treatment in many parts of the World. Ref: A Short Textbook of Psychiatry, Niraj Ahuja, 7th Edition, pg. no. 44